The effective temperature of 'comfort zone is' –
1. 69–76°F
2. 77–80° F
3. 83–85° F
4. 86–90° F

Correct answer: 2. 77–80° F

Explanation: Comfort zone

Comfort zones may be defined as the range of corrected effective temprature over which the majority of adults feel comfortable.
Comfort zones evaluated in India : -